All of the following are a features of mania except -
1. Decreased need for sleep
2. Elated mood
3. Delusion of grandeur
4. Decreased motor activity

Correct answer: 4. Decreased motor activity

Explanation: Psychomotor activity is increased in mania.